All are true of Nephrotic syndrome, except
1. RBC casts in urine
2. Hypo-proteinemia
3. Oedema
4. Hyperlipidemia

Correct answer: 1. RBC casts in urine